The bowel can get strangulated in all of the following space except -
1. Rectouterine pouch
2. lleocolic recess
3. Paraduodenal recess
4. Omental bursa

Correct answer: 1. Rectouterine pouch

Explanation: Omental bursa, Paraduodenal recess and ileocolic recess are Peritoneal recesses.

Peritoneal recesses 

These are small pockets of the peritoneal cavity enclosed by small, inconstant folds of the peritoneum. These are best observed in fetuses and are mostly obliterated in adults.
Sometimes they persist to form potential sites for an internal hernia and strangulation.

These are :
A) Lesser sac or omental bursa 
B) Duodenal recesses

Superior duodenal recess
Inferior duodenal recess
Para duodenal recess
Retroduodenal recess
Duodenojejunal (or mesocolic) recess
Mesenterico-parietal fossa (of Waldeyer)
Superior ileocaecal (or ileocolic) recess)
Inferior ileocaecal (or ileocolic) recess)
Retrocaecal recess

C) Caecal fossa
D) Intersigmoid recess